Splicing Activity is a functions of
1. m RNA
2. Sn RNA editing
3. r RNA
4. t RNA

Correct answer: 2. Sn RNA editing

Explanation: Sn-RNA is involved in RNA splicing.
Sno-RNA → r-RNA modification
mi-RNA & St-RNA → Regulation of gene expression
 SP-RNA → RNA-interference (RNA i)